First stage of labour is up to :
1. Rupture of membranes
2. 3/5 dilatation of cervix
3. Full dilatation of cervix
4. Crowing of head

Correct answer: 3. Full dilatation of cervix

Explanation: Full dilatation of cervix